The programme Kalyani on Doordarshan deals with:
1. Health
2. Agriculture
3. Sports
4. All of the above

Correct answer: 1. Health

Explanation: Kalyani is a health programme telecast in 9 capital Doordarshan stations and 12 sub regional stations by PrasarBharati targeting those living in the most populous states. Ref: Health policies and programmes in India, D.K. Taneja 11th edition page: 353